Nucleoside reverse transcriptase inhibiting drug, which is a guanosine analogue is:-
1. Ritonavir
2. Zidovudine
3. Abacavir
4. Acyclovir

Correct answer: 3. Abacavir

Explanation: NRTI ANALOGUE OF Zidovudine Thymidine Stavudine Thymidine Lamivudine Cytosine Emtricitabine Cytosine Zalcitabine Cytosine Tenofovir Adenosine Didanosine Adenosine Abacavir Guanosine